Arterial dilator used in treatment of congestive heart failure are All except
1. Hydralizine
2. Nifedipine
3. Prazosin
4. Nitrates

Correct answer: 4. Nitrates

Explanation: Refer kDT 6/e p540 Nitrates are primaryly venodilators. Hydralizine and nifedipine dilate mainly aerials whereas ACE inhibitors an alpha blockers dilate both arterioles as well as veins